The T 1/2 of iodine 131 is:
1. 13 days
2. 8 days
3. 2 days
4. 12 hours

Correct answer: 2. 8 days

Explanation: Ref: Internet SourcesExplanation:The t1/2 of iodine 131 is 8 daysHalf life's of commonly used radioisotopes in MedicineIsotopeHalf lifeAmericium- 241433 yearsAntimony-12460.2 daysCalifornium-2522.63 yearsCesium-13730.1 yearsCobalt-57271 daysCobalt-5871.3 daysCobalt-605.272 yearsIodine-1244.17 daysIodine-13012.4 hoursIodine-1318.041 daysIron-528.3 hoursIron-552.7 yearsIron-5944.6 daysManganese-525.63 daysManganese-54312.5 daysMolybdenum-9966.02 hoursOsmium-19115.3 daysTechnetium-99m6.02 hours